Most common site of admantinoma of the long bones is
1. Femur
2. Ulna
3. Tibia
4. Fibula

Correct answer: 3. Tibia

Explanation: Ans. is 'c' ie Tibia .Adamantinoma is commonly a tumor of the mandible*.It may rarely affect appendicular skeleton of which tibia is the commonest site.Also rememberIt is a locally invasive tumor*does not metastasize* but local recurrence is quite common*X- ray picturehoney comb appearance*Soap bubble appearance*TreatmentResection *